The earliest manifestation of increase intracranial pressure following head injury is
1. Hemiparesis
2. Altered mental status
3. Ipsilateral pupillary dilatation
4. Contralateral pupillary dilatation

Correct answer: 2. Altered mental status

Explanation: Early signs of elevated ICP includes drowsiness and a diminished level of consciousness Coma and unilateral papillary changes are late signs and require immediate intervention Ref : Harrison's 19th edition Pgno :1779